In compartment syndrome earliest finding is
1. Pain on passive movement
2. Parasthesia
3. Absence of pulse
4. Pallor

Correct answer: 1. Pain on passive movement

Explanation: Ans: a (Pain on passive..) Ref Rocksvood& Greens 6th edPain is considered to be the first symptom of acute compartment syndrome. The pain experienced by the patient is by nature ischemic and usually severe and out of proportion to the clinical situation.Symptoms and signs of compartment syndromeThere are classically 5 "Ps" associated with compartment syndrome.Pain out of proportion to what is expectedParaesthesia allorParalysisPulselessnessA 6th P, for polar/poikilothermia (i.e. cold) is added.Of these only the first two are reliable in the latter stages of compartment syndrome.